Small vessel vasculitis are -
1. Classical PAN
2. Wegner's granulomatosis
3. Giant cell arteritis
4. All

Correct answer: 2. Wegner's granulomatosis

Explanation: Inflammation of vessel wall is called vasculitis. o Of these systemic necrotizing vasculitis, several types affect the aorta and medium sized vessels, but most affect small vessels, such as arterioles, venules, and capillaries --> small vessel vasculitis. Large vessel vasculitis Medium vessel vasculitis Small vessel vasculitis o Giant cell arteritis o Polyarteritis nodosa ANACA positive ANCA negative (Temporal arteritis) o Kawasaki disease o Wegner's granulomatosis o Bechet's syndrome o Takayasu arteritis o Buerger's disease o Microscopic polyangitis o Hypersensitivity o Cogan syndrome o Churg strauss syndrome o Urticarial vasculitis o Drug induced REF: Harrison book of internal medicine 21ST EDITION